Uncinate process is a part of which bone?
1. Nasal
2. Ethmoid
3. Maxilla
4. Frontal

Correct answer: 2. Ethmoid

Explanation: ANSWER: (B) EthmoidREF: Gray's anatomy 40th ed chapter 29, Rhinology and Facial Plastic Surgery By Fred J. Stucker, Chris de Souza, Guy S. Kenyon, Timothy S. Lian, Wolfgang Draf, Bernhard Schick page 502See previous question